Risser Localiser cast is used in the management of -
1. Kyphosis
2. Spondylolysthesis
3. Idiopathic scoliosis
4. Lordosis

Correct answer: 3. Idiopathic scoliosis

Explanation: Reisser localiser cast is used in scoliosis. Other methods used are, Milwaukee brace and Boston brace. REF:Essential orthopaedics- Maheshwari - 5th edn -pg no282.